Which of these is the best for management of methanol poisoning?
1. Acamprosate
2. Fomepizole
3. Disulfiram
4. Naltrexone

Correct answer: 2. Fomepizole

Explanation: Acamprosate + Naltrexone use for Alcohol Deaddiction Fomepizole - DOC = Methanol poisoning Fomepizole -DOC for ethylene glycol poisoning DOC for Ethylene glycol poisoning & for Anti-freeze agent ingestion Disulfiram = Alcohol craving